Perineal tear should be repaired:
1. 24 hrs later
2. 48 hrs later
3. 36 hrs later
4. Immediately

Correct answer: 4. Immediately

Explanation: Ans. is d, i.e. ImmediatelyRef. Dutta Obs. 7/e, p 422, 423Management of Perineal tears:Recent tear should be repaired immediately following the delivery of the placenta.QIn cases of delay beyond 24 hours, the complete tear should be repaired after 3 months.Q